Broad complex tachycardia due to ventricular a tachycardia is suggested by
1. Fusion Beats
2. AV dissociation
3. Capture Beats
4. All

Correct answer: 4. All

Explanation: Answer is A, B, C (Fusion beats; Capture beats and AV dissociation) Presence of Fusion beats, capture beats and AV dissociation is charachteristic of ventricular tachycardia. ECG feature that support a diagnosis of ventricular tachycardia (Vt) in patients with Wide Complex Tachycardia (Incomplete List) Presence of Fusion beats Presence of capture beats Presence of AV dissociation The presence of fusion beats and capture beats provides maximum support for the diagnosis of VT. AV dissociation also provides a strong support in favour of VT, but is less specific than fusion beats and capture. AV dissociation may uncommonly occur during supraventricular tachycardias and all cases of VT may not exhibit AV dissociation. Never the less presence of AV dissociation in cases of wide complex tachycardia is a strong presumptive evidence that tachycardia is of ventricular origin (V7). Differentiating features VT (Broad complex) SVT with Aberrancy (Broad Complex) Fusion beats Characteristic Absent Capture beats Characteristic Unusual AV dissociation Characteristic Absent Effect of vagal manuvres No effect Slowing or termination of tachycardia QRS morphology in V 1 Monophasic or Biphasic Triphasic